The commonest gastric polyp is -
1. Hyperplastic polyp
2. Inflammatory polyp
3. Adenomatous polyp
4. Part of familial polyposis

Correct answer: 1. Hyperplastic polyp